Sexual assault of child, hymen is not ruptured due to-
1. Deep seated
2. Underdeveloped
3. Too toughto rupture
4. Distensible

Correct answer: 1. Deep seated

Explanation: Ans. is 'a' i.e.. Deep seated o In children hymen is placed high up in the vagina so never ruptures in sexual intercourse.Verginityo A virgin (virgo Intacta) is a female who has not experienced sexual intercourse,o Defloration means loss of virginity.o Marriage is a contract between man and woman, which implies physical union by coitus,o Divorce means dissolution of previously valid marriage.o Hymen : the hymen is fold of mucous membrane about 1 mm thick, situated at the vaginal outlet. The average abult hymen consists of folds of membrane having annular or crescentic shape, the broadest part lying posteriorly.Types of hymen:Semilunar or crescentic : opening is placed anteriorly.Annular : opening is oval and situated near the center of the membrane.Infantile: a small linear opening in the middle.Cribriform : several openings.Vertical: opening is vertical.Septate : two lateral opening occur, side by side.Imperforate : no opening.Causes of rupture of hymen :An accident, for example, a fall on the projecting substance or by slipping on the furniture or fence or while playing on a see-saw; hymen does not rupture by riding jumping, dancing, etc.Masturbation : with a large foreign body.Sanitary tampons.Surgical operation and gynecological examinaton.Aptae viris : foreign body, for example, Sola pith introduced into vagina for rendering very young girls fit for sexual intercourse.Ulceration from diphtheria, fungus, or other disease.Scratching due to irritation of the part from lack of cleanliness.o Fimbriated hymen shows multiple notches that may be mistaken for artificial tears.o Natural notches are usually symmetrical, occur anteriorly, do not extend to the vaginal wall and are covered with mucous membrane.o Tom hymen (sexual intercourse of by foreign body): bleeds on touch tender, asymmetrical, notches occur posteriorly and extend to the vaginal wall.Natural notchTear in hymenFimbriated type of hymen has multiple nothches (mistaken for tear of hymen)Occurs due to sexual intercourse, foreign body, during accidental injury by an objectNon-tenderTender to touchSymmetricalAsymmetricalAnteriorly placedPosteriorly or anywhereDo not extend to the vaginal wallExtend upto the vaginal wallo In infants a small swab can be passed through the hymenal orifice into the vagina.o At the age of 10 years the tip of the small finger enters the vagina. In children hymen is placed high up in the vagina so never ruptures in sexual intercourse.o At the age of puberty (15-18 years) one finger can usually be passed into the vagina.o In prostitutes, if the hymen is present (elastic type ) and other sign of virginity are absent, called false virgin. In vaginal orifice more than two fingers can be passed.o After rupture of hymen, it never heals and the remnants are known as Carunculae hyemalis or myrtiformes--small, round, fleshy projection or tags round the hymenal ring.o Normally, hymen ruptures at 5 or 7 o'clock position, that is posterolateral position.TraitTrue virginFalse virginHymenSigns of virginityVaginal orificePresentPresentOne finger can be passedPresent but elastic typeAbsent2 or more two fingers can be passedThe Priciple signs of virginity are as follows :An intact hymen.A normal condition of the fourehette and posterior commissure.A narrow vagina with rugose walls.Labia majora is adjacent to each other, fully developed and completely close the vaginal orifice.Labia minora is in contact and is covered by labia majora.o Fourehette : the lower portions of labia minora fuse in midline and form the fourehette.o Anterior and posterior commissure : they are the elongated folds of two labia majora of skin projecting downwards and backwards from the mons veneris.o They meet in front in the anterior commissure and in the back at the posterior commissure.o Fossa navicularis is the depression between fourehette and the vaginal orifice.o Vaginal passage is 7.5 cm long, shorter on its anterior wrall (6 cm) and longer on the posterior wrall (9 cm), normally slit-shaped.o In mullipura, width of upper end is 3 to 4 cm.o In mutipara, width of upper end is 6 to 7 cm.o Breasts : in a virgin, the breasts are firm, elastic, and hemispherical with a small undeveloped nipple surrounded by an areola.o Breast in defloration : large and flabby by frequent handling and sexual intercourse, with enlarged nipples. Milk may be found in the breast.TraitVirginityDeflorationHymenIntact, rigid, inelastic, edges distinct and regular, narrow opening allowing only one small finger to passTom or intact, if intact it is loose, elastic opening allows passage of > two fingers.Labia majoraAdjacent to each other, fully developed, close the vaginal orificeNot apposed to each other, not prominent, and at the lower and vaginal orifice may be seen.Labia minoraThey are in contact and are covered by labia majoraAre not in contact are exposed and separated from labia majora.FourchetteIntactUsually tomFossa navicularisIntactDisappearsVaginaIs narrow, rugae are more folded vault is more conicalRugae less obvious, vagina grows in length